All are true about bilateral diaphragmatic paralysis,Except-
1. Sniff test is positive
2. Causes normocapnic failure
3. Diaphragmatic pacing is useful if any nerve is intact
4. None of the above

Correct answer: 2. Causes normocapnic failure